A patient presented with following serum parameters: Normal serum ALP, normal PTH level and increased Ca+ and PO4. Most likely cause:
1. Vitamin D increase
2. Hyperparathyroidism
3. Osteoporosis
4. Osteomalacia

Correct answer: 1. Vitamin D increase

Explanation: Bio-Chemical Changes Osteoporosis Osteomalacia Hyperparathyroidism Calcium Normal |/Normal Increased Phosphate Normal | Low (phosphateuria) ALP Normal - PTH - - Hyper toxicity of Vit-d: | Ca &Phosphate levels